Danazol is useful in the treatment of all except
1. Hirsutism
2. Endometriosis
3. DUB
4. Leiomyoma

Correct answer: 1. Hirsutism

Explanation: Uses of danazol: Endometriosis Abnormal uterine bleeding Cyclical mastalgia Fibrocystic disease of breast Gynecomastia Improves libido in menopausal women Improves spermatogenesis in male infertility Ref: Shaw Gynecology 17 e pg 192.